All of the following are true about chronic venous congestion of liver except -
1. Gamna Gandy bodies are seen
2. Nutmeg liver is seen
3. Dilated blood channels are seen
4. None of the above

Correct answer: 1. Gamna Gandy bodies are seen

Explanation: Gamma Gandy bodies are seen in the congestion of spleen (not liver).